Shortest peptide is:
1. Angiotensin-I
2. Vasopressin
3. Angiotensin-II
4. Angiotensin-III

Correct answer: 4. Angiotensin-III

Explanation: Shortest peptide is Angiotensin-III Made up of 7 amino acids, formed from Angiotensin-II after the removal of an amino acid from N-terminal Angiotensin III has same efficacy as Angiotensin II for the secretion of aldosterone.